Which of the following effects of adrenaline would be blocked by phentolamine but NOT by propranolol ?
1. Cardiac stimulation
2. Relaxation of bronchial smooth muscle
3. Relaxation of the uterus
4. Contraction of the radial smooth muscle in the iris

Correct answer: 4. Contraction of the radial smooth muscle in the iris